Blood spill in operation theatre is cleaned with?
1. Chlorine compound
2. Phenolic compound
3. Quarternary ammonium compounds
4. Alcoholic compounds

Correct answer: 1. Chlorine compound

Explanation: Sodium hypochlorite: Sodium hypochlorite a compound of chlorine is the best disinfectant for surface blood spills, with a concentration of 0.5- 5%. 0.1% Hypochlorite - To disinfect colonized/infected pt. bed in isolation room after cleaning with detergent for 10 mins. 1% Hypochlorite - For decontamination of suction jar, suction tubes, ventilator circuits, oxygen mask, nasal prongs. Blood & body fluid stained instruments and linens (spot soak for 10 min). 2% Hypochlorite - To decontaminate soiled bed pan, toilet basin, commodes for 10 mins. 10% Hypochlorite - To decontaminate large blood spill >10 ml for 15 mins.